Antihormone used in Infertility is:
1. Mifepristone
2. Clomifene
3. Danazol
4. Finasteride

Correct answer: 2. Clomifene

Explanation: Clomifene citrate : Anti-estrogenic -effects on the Hypothalamic axis which promotes release of FSH and LH which induces folliculogenesis and ovulation. Finasteride: Competitive inhibitor of enzyme 5 alpha reductase. with anti androgenic properties Mifepristone: antiprogesterone used for inducing abortions Danazol: antiestrogen, weak androgen, weak progesterone action. Used in endometriosis and abnormal uterine bleeding